The most important constituent in soda lime for reabsorption of CO2 in a closed circuit is –
1. Sodium hydroxide
2. Barium hydroxide
3. Calcium hydroxide
4. Potassium hydroxide

Correct answer: 3. Calcium hydroxide

Explanation: Sodalime contains Ca(OH)2 (94%), NaOH (5%), KOH (< 1%), Silica, indicator and moisture.